Breast feeding has been suggested to have possible protective effect against all the following Except
1. Otitis Media
2. UTI
3. Childhood Cancers
4. Skin Infections

Correct answer: 4. Skin Infections

Explanation: Conditions for which Human Milk has been suggested to possibly have a Protective effect1. Acute disorders10. Diarrhea2. Otitis media11. UTI3. Necrotising enterocolitis12. Septicemia4. Infant botulism13. Insulin-dependent diabetes5. Celiac disease14. Crohn disease6. Childhood cancers15. Lymphoma7. Leukemia16. Allergy8. Obesity and overweight17. Hospitalizations9. Infant mortality18. Recurrent OtitisReference: Nelson Textbook of Paediatrics; 20th edition; Chapter 45; Feeding Healthy infants, Children and Adolescent1s